Most common anterior mediastinal tumor?
1. Thymoma
2. Neurofibroma
3. Pericardial cyst
4. Bronchogenic cyst

Correct answer: 1. Thymoma

Explanation: Ref: Bailey and Love, 26th edition, P 868Most common anterior mediastinum tumor is thymoma. Choice B is seen in posterior mediastinum. Choice C and D are found in middle mediastinum.